Apoplexy is:
1. Learning disability
2. Insanity leading to commitment of a crime
3. Sudden onset of bleeding in the brain
4. Injury to the brain due to trauma

Correct answer: 3. Sudden onset of bleeding in the brain

Explanation: Ans. Sudden onset of bleeding in the brain